Human genome contains --- base pairs
1. (3 x 10 )9
2. (3 x 10 )8
3. (3 x 10 )7
4. (3 x 10 )6

Correct answer: 1. (3 x 10 )9

Explanation: The haploid human genome (containing only 1 copy of each chromosome) consists of roughly 3 billion of these base pairs grouped into 23 chromosomes. A human being inherits two sets of genomes (one from each parent), and thus two sets of chromosomes, for a total of 46 chromosomes, representing the diploid genome, which contains about 6x10^9 base pairs.